The number of fontanelles present in a new born child is :
1. 1
2. 2
3. 4
4. 6

Correct answer: 4. 6

Explanation: Ans. is d i.e. 6 6 fontanelles are present in fetal skull. Anterior fontanelle (bregma) - 1 Posterior fontanelle (lambda) - 1 Anterolateral fontanelle - 2 Postenolateral fontanelle - 2